Plasma makes:
1. 20% of Body Weight
2. 15% of Body Weight
3. 10% of Body Weight
4. 5% of Body Weight

Correct answer: 4. 5% of Body Weight

Explanation: Ans. D: 5% of Body WeightThe fluid portion of the blood, the plasma contains ions, inorganic molecules, and organic molecules. The normal plasma volume is about 5% of body weight.Plasma clots on standing, remaining fluid only if an anticoagulant is added. If whole blood is allowed to clot and the clot is removed, the remaining fluid is called serum.Serum has essentially the same composition as plasma except that its fibrinogen and clotting factors II, V, and VIII have been removed and it has a higher serotonin content because of the breakdown of platelets during clotting.